The most common glomerulonephritis is......
1. Membranous GN
2. IgA nephropathy
3. PSGN
4. RPGN

Correct answer: 2. IgA nephropathy

Explanation: Ans: b (IgA nephropathy) Ref: Robbins, 7th ed, p. 986* IgA nephropathy is the most common cause of GN worldwide* Also called Bergers disease* IgA deposits in mesangium along with IgQ IgM, C3. properdin* C/F: Hematuria after a respiratory/urinary/GIT infection* Rx: Steroids (high dose).Remember...* Most common glomerulonephritis is IgA nephropathy* Most common nephrotic syndrome is membranous glomerulonephropathy.